Apoptosis is inhibited by?
1. Bcl-2
2. Bax
3. Bad
4. P53

Correct answer: 1. Bcl-2

Explanation: Ans. (a) Bcl-2Ref: Robbing pathology 9th ed. /53-54* Apoptosis is inhibited by anti-apoptosis genes which are mostly BCL family genes.# Example: BCL2, BCL-X, BCL-XL* Pro-apoptotic genes: they initiate and are involved in apoptosis.# Example: BAD, BIM, BAX, BAK* P53 is tumor suppressor gene and it causes apoptosis when there is excess of DNA damage which cannot be repaired